Which of the following sites is responsible for the amnestic defect in Wernicke's Korsakoff - syndrome -
1. Mamillary body
2. Thalamus
3. Subthalmic nucleus
4. Medical fore brain bundle

Correct answer: 2. Thalamus

Explanation: Ans. is 'b' i.e., Thalamus "The amnestic defects in Korsakoff's wernickes syndrome is related to lesion in the dorsomedial nuclei of thalamus"."Lesions in the dorsomedial nucleus of the thalamus seems to be the best correlate of the memory disturbance and confabulation".